RBC casts seen in
1. Minimal change disease
2. Renal vein thrombosis
3. Bladder schistosomiasis
4. Rapidly progressive glomerulonephritis

Correct answer: 4. Rapidly progressive glomerulonephritis

Explanation: RBC casts are a feature of glomerular damage .Normally <3 RBC/HPF are going to leak. But in the case of glomerular damage the number of RBC in the urine will exceed the limit mentioned above and these RBC get impinged on Tamm horsefall protein. The resultant RBC casts can be seen under microscopic examination of urine. Refer robbins 9/e p912